Spore forming anaerobic gram positive bacilli ?
1. Bacillus Anthracis
2. Clostridia
3. Corynebacterium
4. Peptostreptococcus

Correct answer: 2. Clostridia

Explanation: Ans. is 'b' i.e., Clostridia There are two medically important spore forming bacteria. Both of them are 'gram positive' `bacilli' :-Aerobic : BacillusAnaerobic (obligate anaerobes) : Clostridia.